Applied ethics?
1. What we think and how we interpret
2. Applied consent
3. Autonomy
4. Practical application of moral values

Correct answer: 4. Practical application of moral values